Fleeting skin lesions are often present in patients with:
1. Viral hepatitis B
2. Acute cholangitis
3. Viral hepatitis A
4. Carcinoma head of pancreas

Correct answer: 1. Viral hepatitis B

Explanation: Fleeting skin lesions are often presents in patients with hepatitis B. Ref: Schiff's diseases of liver, Edition -11, Page - 3.